Drugs which potentiate effect of NMDA at NMDA receptors are all except ?
1. Ketamine
2. Aspartic acid
3. D alanine
4. Homocysteic acid

Correct answer: 1. Ketamine

Explanation: Ans. is 'a' i.e., Ketamine Ketamine is NMDA receptor blocker so it does not potentiate the NMDA action.